Triple assessment for CA Breast includes
1. History, Clinical examination and mammogram
2. History, Clinical examination and FNAC
3. USG, Mammogram and FNAC
4. Clinical examination, Mammogram and FNAC

Correct answer: 4. Clinical examination, Mammogram and FNAC

Explanation: Triple assessment: In any patient who presents with a breast lump or other symptoms suspicious of carcinoma, the diagnosis should be made by a combination of clinical assessment, radiological imaging and a tissue sample taken for either cytological or histological analysis the so-called triple assessment. Ref : Bailey and love 26thE pg 818